Which one of the following statements about influence of smoking on risk of Coronary heart disease is not true?
1. Influence of smoking is independent of other risk factors for CHD
2. Influence of smoking is only additive to other risk factors for CHD
3. Influence of smoking is synergistic to other risk factors for CHD
4. Influence of smoking is directly related to number of cigarettes smoked per day

Correct answer: 2. Influence of smoking is only additive to other risk factors for CHD

Explanation: Relationship between smoking and coronary heart disease:- Influence of smoking in independent of other risk factors for CHD Influence of smoking is synergistic to other risk factors for CHD Influence of smoking is directly related to number of cigarettes smoked per day Influence of smoking is more than additive to other risk factors for CHD.